Mid tracheostomy is done at which of the following level?
1. 3-4 rings of tracheal cartilage
2. 5-6 rings
3. 1-2 rings
4. 2-3 rings

Correct answer: 4. 2-3 rings

Explanation: Ref: Diseases of the Ear Nose and Throat by PL Dhingra 5th edn .2010 page page 337 Explanation:TracheostomyTracheostomy is making an opening in the anterior wall of trachea and converting it into a stoma on the skin surfaceIndications areRespiratory obstructionSuction of retained secretionsRespiratory insufficiencyTypes areElective EmergencyBased on the siteHigh tracheostomyOpening Made above the isthmus of thyroid glandThrough the 1st tracheal ringDone in malignancy of the larynxincreased risk of perichondritis and suglottic stenosisMid tracheostomyDone through the 2nd and 3rd tracheal ringsMost commonly doneIsthmus has to be retracted or divided Low tracheostomyDone below the isthmusThrough 4th and 5th tracheal ringsDone when the airway is blocked at the upper tracheal levelRisk of injuring the great vessels of neck